Tubectomy in a heart patient who has recently delivered is best done after :
1. 48 hours
2. 1 week
3. 2 weeks
4. Immediately

Correct answer: 2. 1 week

Explanation: 1 week